Which of the following is/are an example/examples of non-Mendelian inheritance?
1. Genomic imprinting
2. Uniparental disomy
3. Mitochondrial inheritance
4. All of the above

Correct answer: 4. All of the above